Most common fractured bone on face:
1. Nasoethmoid bone
2. Zygomatic bone
3. Nasal bone
4. Mandible

Correct answer: 3. Nasal bone

Explanation: Ans. (c) Nasal boneRef. Dhingra's ENT 6th ed./147-148* Facial trauma, also called maxillofacial trauma, is any physical trauma to the face.* Commonly injured facial bones include the nasal bone, maxilla, and the mandible. The mandible may be fractured at its symphysis, body, angle, ramus, and condyle.* Nasal fracture is the most common facial fracture, and the third most common fracture of the skeleton overall.* Facial fractures occur for a variety of reasons related to sports participation: contact between players (eg, a head, fist, elbow); contact with equipment (eg, balls, pucks, handle bars); or contact with the environment, obstacles, or a playing surface (eg, wrestling mat, gymnastic equipment, goalposts, trees).* Facial fractures may be associated with head and cervical spine injuries and it requires a significant amount of force.